Vitamin A prophylaxis to a child is
1. Health promotion
2. Specific protection
3. Primordial prevention
4. Secondary prevention

Correct answer: 2. Specific protection

Explanation: Ans. is 'b' i.e. Specific protection Vitamin A prophylaxis is a form of specific protection against vitamin A deficiency resulting in xerophthalmiaSpecific protection is an interventional strategy for primary prevention in a disease process.Disease process, prevention & interventions can be summarised as below:* Health education is a part of health promotion Levels of preventionPrimordial prevention - Prevention of the development or emergence of Risk Factors in population groups in which they have not yet appeared Primary prevention - Action taken prior to the onset of disease which removes the possibility that the disease will ever occur. It signifies intervention in the pathogenesis phase of the disease.Secondary prevention - Action which halts the progress of disease at its incipient stage and prevents complications i.e. early diagnosis & treatment.Tertiary treatment - Intervention in the late pathogenic phase all measures to reduce or limit impairments, Disabilities and handicap Specific protection:Specific protection is possible in a limited number of cases.The interventions available areImmunizationUse of specific nutrients (For e.g. Vit. A, Iron & FA)ChemoprophylaxisProtection against occupational hazardsProtection against accidentsProtection from carcinogensAvoidance of allergensControl of environmental hazards e.g. air pollution, noise control etc.